Confocal scanning laser ophthalmoscope uses ?
1. Infrared laser
2. Diode laser
3. Excimerlaser
4. YAG laser

Correct answer: 2. Diode laser

Explanation: Ans. is 'b' i.e., Diode laser Confocal scanning laser ophthalmoscope It is an instrument using confocal laser system to provide and analysethree dimentional image of the optic nerve head, peripapillary retina, and macular region. It uses a 670 nm diode laser and measures the amount of light reflected froma series of 16 - 64 sections in depth and reconstructs them to show the anatomy of the optic nerve head and reconstruct the anatomy of the retinal nerve fiber layer.